Characteristic feature of malignant gastric ulcer on Barium meal is:
1. Hampton line
2. Carmen meniscus sign
3. Ulcer cap
4. Ulcer crater

Correct answer: 2. Carmen meniscus sign

Explanation: Gastric Ulcer Benign Malignant Ulcer Generally at lesser curvature Smooth radiating folds with Hampton line and collar Overhanging margins showing regeneration Mucosal rugae projects outwards from the margins of ulcer Penetrating sign (ulcer crater projects into stomach wall rather than into a mass in a stomach wall) Huge base Preserved peristalsis Heals within 8-10 weeks At greater curvature Interrupted nodular clubbed folds with lasman kirlin complex (malignant ulcer with no mass) Eccentric with heaped up and everted margins Mucosal rugae stop far of the ulcer Carman's meniscus sign (meniscoid appearance of trapped barium in ulcer bed) Necrotic base No peristalsis No healing Benign BPH: (Benign Ulcer-Penetrating sign and Hampton's hump) Malignant CIK: (carman's meniscus sign, intraluminal kirklin complex